What is the proof of eyes being open for few hours after death ?
1. Kevokian sign
2. Tache noir
3. Both of the above
4. None of the above

Correct answer: 2. Tache noir

Explanation: Ans. is 'b' i.e., Tache noir If the eye lids are open for a few hours after death, a film of cell debris and mucous forms two yellow triangles on the sclera on either side of the iris , which become brown and then black called tache noir withing 3 - 4 hours.